Orthostatic proteinuria -
1. Seen in recumbant position
2. Is benign
3. Future risk of nephrotic synd
4. > 300 mg/day

Correct answer: 2. Is benign